Which of the following is the infective form of Plasmodium falciparum for human?
1. Merozoites
2. Sporozoites
3. Hypnozoite
4. Trophozoites

Correct answer: 2. Sporozoites

Explanation: The life cycle of Plasmodium in humans begins with the introduction of sporozoites into the blood from the saliva of the biting mosquito. The sporozoites are taken up by hepatocytes within 30 minutes. The exo-erythrocytic phase consists of cell multiplication and differentiation into merozoites. P. vivax and P. ovale produce a latent form (hypnozoite) in the liver. This form is the cause of relapses seen with vivax and ovale malaria. The sexual cycle begins in the human red blood cells when some merozoites develop into male and others into female gametocytes. The gametocyte-containing red blood cells are ingested by the female Anopheles mosquito. Note Hence infective form for human is Sporozoites and infective form for mosquito is Gametocytes. It is important to read the question carefully. Ref: Levinson W. (2012). Chapter 52. Blood & Tissue Protozoa. In W. Levinson (Ed), Review of Medical Microbiology & Immunology, 12e.